Radiation exposure in an IOPA radiograph is ?
1. 200 micro Sieverts
2. 26 micro Sieverts
3. 5000 micro Sieverts
4. 5 micro Sieverts

Correct answer: 4. 5 micro Sieverts